In which Tanner's stage of puberty in females, areola and papilla form a secondary mound?
1. Stage 1
2. Stage 2
3. Stage 3
4. Stage 4

Correct answer: 4. Stage 4

Explanation: Tanner's Staging In Females 1 Prepubertal no pubic hair 2 Sparse growth of minimally pigmented hair, mainly on the labia 3 Considerably darker and coarser hair spreading over the mons pubis 4 Thick adult-type hair that does not yet spread to the medial surface of the thighs 5 Aduls-type in distributed on classical inverse triangle Stage I: prepubertal Stage II: breast bud with elevation of breast and papilla; enlargement of areola Stage III: further enlargement of breast and areola; no separation of contour Stage IV: areola and papilla form secondary mound above level of breast Stage V: mature stage; projection of papilla only, related to recession of areola